Structure of brain involved in emotion :
1. Neocortex
2. Limbic system
3. Thalamus
4. All

Correct answer: 2. Limbic system

Explanation: B i.e. Limbic system